All are true about gastrinomas except:
1. Most gastrinomas (50-70%) are present in the duodenum
2. About 10 % of gastrinomas are malignant
3. Metastatic spread to lymph nodes and liver
4. Causes peptic ulcer disease with diarrhea

Correct answer: 2. About 10 % of gastrinomas are malignant

Explanation: Most gastrinomas (50-70%) are present in the duodenum, about 60-90% of gastrinomas are malignant with metastatic spread to lymph nodes and liver. Distant metastases to bone occur in 12-30% of patients with liver metastases. Reference: Harrisons Principles of Internal Medicine, 18th Edition, Page 3065